Frontal Sinus can be best visualized by-
1. Caldwell's view
2. Water's view
3. Towne's view
4. Schuller's view

Correct answer: 1. Caldwell's view